Excessive O2 concentration in Neonates causing
1. Retrolental fibroplasias
2. Respiratory distress syndrome
3. Hyaline membrane disease
4. Anaemic retinopathy

Correct answer: 1. Retrolental fibroplasias

Explanation: (Retrolental fibroplasia) (264-KH)Retinopathy of prematurity term coined for the disease "retrolental fibroplasia"* It is a bilateral proliferative retinopathy, occurring in premature infants (weighting less than 1300 gm) exposed to high concentration of oxygen during the first 10 days of life.* Premature infants should not be placed in incubator with an O2 concentration of more than 30% and efforts should be made to avoid infection and attacks of apnoea.